Which of the following is the rate limiting enzyme in glycogenesis?
1. Glucokinase
2. Glycogen phosphorylase
3. Glycogen synthase
4. Branching enzyme

Correct answer: 3. Glycogen synthase

Explanation: Glycogen synthase catalyzes the formation of a glycoside bond between C-1 of the glucose of UDPGlc and C-4 of a terminal glucose residue of glycogen, liberating uridine diphosphate (UDP).
The principal enzymes controlling glycogen metabolism glycogen phosphorylase and glycogen synthase—are regulated in opposite directions by allosteric mechanisms and  covalent modification by reversible phosphorylation and dephosphorylation of enzyme protein in response to hormone action.

Rate Limiting Steps

Glycogenesis: Glycogen synthase.
Glycogenolysis: Glycogen phosphorylase.

Harper 30th edition Pg-179,175